The preferred gingival finish line for veneer metal restoration is
1. Shoulder
2. Chamfer
3. Shoulder with bevel
4. Radial shoulder

Correct answer: 2. Chamfer